The ‘a’ wave in venous waveform is absent in case of
1. AV dissociation
2. Atrial fibrillation
3. Tricuspid incompetency
4. All of the above

Correct answer: 2. Atrial fibrillation